Climbing fibres arise from -
1. Inferior olivary nucleus
2. Red nucleus
3. Caudate nucleus
4. Putamen

Correct answer: 1. Inferior olivary nucleus

Explanation: Ans. is 'a' i.e., Inferior olivary nucleus * Afferent for cerebellum comes through two fibers : climbing fibers and Mossy fibers.* Climbing fibers which brings information only from the inferior olivary nuclei and establish excitatory synapes with purkinje cells.* All other afferent input to the cerebellum is brought by the other types of fibers, called Mossy fibers which establish excitatory synapse with granule cells in the granular cell layer. The axon of granule cells, called parallelfibers, stimulate the purkinje cells. Thus mossy fibers, like the climbing fibers, also end up in stimulating the purkinje cells.